Rice contains -
1. 6 % protein
2. 12 % protein
3. 14 % protein
4. 0.6 % protein

Correct answer: 1. 6 % protein

Explanation: The protein content of rice varies from 6-9 percent. REF. PARK'S TEXTBOOK OF PREVENTIVE AND SOCIAL MEDICINE 21ST EDITION. PAGE NO - 627